The most common anesthetic complication occurring within first 24 hours after surgery under general anesthetics is:
1. Hypertension
2. Renal failure
3. Atelectasis
4. Cardiac arrest

Correct answer: 3. Atelectasis